All are true about hepatoblastoma except
1. Associated with FAP
2. Most cases <3 years
3. Prognosis is very poor with pulmonary metastases
4. Treatment is chemotherapy followed by surgical resection

Correct answer: 3. Prognosis is very poor with pulmonary metastases

Explanation: 50% of patients with pulmonary metastases can be cured with resection of the hepatic tumor and chemotherapy or resection of the pulmonary metastases. Therefor it is not with too much poor prognosis Ref: Sabiston 20th edition Pgno : 1464